Two or more parallel vertical surfaces of abutment teeth shaped to direct the prosthesis during placement and removal, are known as:
1. Orientation plane
2. Parallel block out
3. Survey lines
4. Guiding planes

Correct answer: 4. Guiding planes